Degeneracy of codon means:-
1. Commaless
2. Unambiguity
3. One amino acid having more than one codon
4. One codon coding for more than one amino acid

Correct answer: 3. One amino acid having more than one codon

Explanation: Degeneracy or redundancyis a property of codon thateach amino acid has more than one codon.Two amino acids do not show degeneracy i.e.Methionine & Tryptophan.They have only one codon. OTHER FEATURES OF GENETIC CODE ARE: Unambiguousi.e. each codon is specific for its amino acid e.g. AUG will always code for methionine Universal(genetic code has been well conserved during evolution with only slight differences) Non overlapping and commaless- means that the codon is read from a fixed starting point as a continuous sequence of bases, taking three at a time, without any punctuation between codons. e.g. AUCGGGACUGCA will be read as AUC GGG ACU GCA